A patient came to the casualty with acute bronchial asthma after treatment of glaucoma. The probable drug may be
1. Timolol
2. Betaxolol
3. Latanoprost
4. Anticholinesterase

Correct answer: 1. Timolol

Explanation: Timolol is a non selective β blocker (act on β1& β2 ). β2 blocking effect of Timolol cause blockage of dilator β2 receptor so it can precipitate asthma. Whereas Betaxolol is cardioselective beta blocker that acts only on β2  receptor.